True about incentives given to ASHA worker in Janani Shishu Suraksha Karyakram:
1. 400 INR to ASHA and 1000 INR to mother in rural area in high performing states
2. 400 INR to ASHA and 1000 INR to mother in rural area in low performing states
3. 400 INR to ASHA and 1000 INR to mother in urban area high performing states
4. 400 INR to ASHA and 1000 INR to mother in urban area low performing states

Correct answer: 4. 400 INR to ASHA and 1000 INR to mother in urban area low performing states

Explanation: Janani Shishu Suraksha Karyakram (JSSK) Incentives Category Rural area Urban area Mother's ASHA Mother's ASHA LPS 1400 600 1000 400 HPS 700 600 600 400